All of the following statements about Patent Ductus Arteriosus (PDA) are true, except:
1. It is more common in males than females
2. It is a common heart lesion in rubella
3. Treatment is closure of defect by ligation and division of ductus
4. Hypoxia and immaturity are important in maintaining the patency

Correct answer: 1. It is more common in males than females

Explanation: Patent Ductus Arteriosus is more common in females than males. Ref: Harrison 17th Edition, Page 1461; O P Ghai 6th Edition, Page 406; Nelson 18th Edition, Page 1859, 1879, 1891